Ectopic ACTH production is seen in
1. Small cell carcinoma is lung
2. Anaplastic carcinoma of lung
3. Squamous cell carcinoma of lung
4. Adenocarcinoma of cerebellum

Correct answer: 1. Small cell carcinoma is lung

Explanation: Ans. is 'a' i.e, Small cell carcinoma of lung Ectopic ACTH is produced by Small cell carcinoma of lung (most common) Carcinoid tumors Medullary Carcinoma of thyroid Islet cell tumors of pancrease